Not a feature of mania
1. Elation
2. Disorientation
3. Pressure of speech
4. Delusion of grandeur

Correct answer: 2. Disorientation

Explanation: B i.e. DisorientationDSM - IV Diagnostic criteria of Mania (episode)Abnormally & persistently elevated, expansive, or irritable mood lasting for at least 1 week (or any duration if need hospitalization).are neededInflated self esteem or grandiosityQDecreased need for sleepQ (3 hours)More talkative or pressure to keep talkingQFlight of ideas or subjective experience that thoughts are racingDistractibilityQ (i.e. attention too easily drawn to unimportant or irrelevant external stimuli)Increase in goal-directed activity (social, spiritual, religious, sexual)Q or psychomotor agitation Excessive involvement in pleasurable activities (eg unrestrained buying sprees, foolish business investments, donations or sexual indiscretions)Q that have a high potential for painful consequences.